Commonest cause of non - engagement at term, in primi is :
1. CPD
2. Hydramnios
3. Brow presentation
4. Breech

Correct answer: 1. CPD

Explanation: Ans. is a i.e. CPD Engagement is said to occur when the greatest transverse diameter of the presenting part, has passed through the pelvic inlet. In all cephalic presentations, the greatest transverse diameter is always the biparietal. (Fig.) Engagement occurs in Multipara with commencement of labourdeg in the late 1st stage after rupture of membranes and in Nullipara during the last few weeks of pregnancy (38 weeks)deg. In primi's the most common cause of non engagement at term is cephalopelvic disproportion (CPD).deg Causes of non engagement of head in a nullipara at term : Cephalopelvic dispropoiondeg Malpresentationsdeg / Occipitoposterior postition / deflexed head Placenta previadeg/ Tumours in the lower segmentdeg Tumours of the fetal neckdeg / Cord around the neckdegA-lydrocephalusdeg Polyhydramniosdeg Distended bladder and rectum.deg